Secondary amyloidosis is a complication of?
1. RA
2. Plasmacytosis
3. Multiple myeloma
4. None

Correct answer: 1. RA

Explanation: Ans. is 'a' i.e., RA Primary amyloidosis * Most common type of amyloidosis and may be seen in multiple myeloma and other plasma cell dyscrasias (plasmacytosis).Secondary * Chronic inflammatory conditions - RA (most common), TB & leprosy, osteomyelitis, ankylosing spondylitis, IBD (Crohn's disease, UC), bronchiectasis.* Some tumors - Renal cell carcinoma (hypernephroma), Hodgkins lymphoma.